Which action of extra-ocular muscle is spared in involvement of Occulomotor nerve -
1. Abduction
2. Depression
3. Elevation
4. Adduction

Correct answer: 1. Abduction

Explanation: In third nerve palsy, out of three abductors two are spared, i.e., lateral rectus and superior ablique. Therfore, abduction is best preserved in 3rd nerve palsy.
Some, intorsion & depression is also maintained. But the best answer here is abduction.